Which of the following is most likely to cause of non Megaloblastic macrocytic anemia
1. Vitamin B12 deficiency
2. Hypothyroidism
3. Thiamine deficiency
4. Folic acid deficiency

Correct answer: 2. Hypothyroidism

Explanation: Ref Harrison 19 th ed pg 640 marrow is usually hypercellular and the anemia is based on ineffective erythropoiesis. The cause is usually a deficiency of either cobalamin (vitamin B12) or folate, but megaloblas- tic anemia may occur because of genetic or acquired abnormalities that affect the metabolism of these vitamins or because of defects in DNA synthesis not related to cobalamin or folate .